Excercise induced asthma is not precipitated by
1. High altitude climb & excercise
2. Cycling in cold weather
3. Swimming in hot water
4. Swimming in cold water

Correct answer: 3. Swimming in hot water